AML causing Gum hypertrophy -
1. M1
2. M2
3. M3
4. M4

Correct answer: 4. M4

Explanation: Gum hypertrophy due to leukaemic infiltration of the gingivae is a frequent finding in myelomonocytic(M4) and monocytic (M5) leukaemias. Reference textbook of Pathology 6th edition author Harsha Mohan page number 363